M.C. type of cutaneous T.B. is –
1. Lupus vulgaris
2. Scrofuloderma
3. T.B. verruca cutis
4. Erythema induratum

Correct answer: 1. Lupus vulgaris

Explanation: Common type of cutaneous tuberculosis

Lupus vulgaris (55%)  
 Tuberculids (7%)           
Tuberculous gumma (5%)
Scrofulodenna (25%)
TB verrucosa cutis (5%)
Other rare (3%)